Classic triad of congenital rubella includes all except
1. Catract
2. Deafness
3. Retinal detachment
4. CHD

Correct answer: 3. Retinal detachment

Explanation: Common Transient and Permanent Manifestations in Infants with Congenital Rubella SyndromeTransient ManifestationsPermanent ManifestationsHepatosplenomegalyInterstitial pneumonitisThrombocytopenia with purpura/petechiae (e.g., dermal erythropoiesis,or "blueberry muffin syndrome")Hemolytic anemiaBony radiolucenciesIntrauterine growth retardationAdenopathyMeningoencephalitisHearing impairment/deafnessCongenital heart defects (patentductus arteriosus, pulmonary arterialstenosis)Eye defects (cataracts, cloudy cornea,microphthalmos, pigmentary retinopathy,congenital glaucoma)MicrocephalyCentral nervous system sequelae(mental and motor delay, autism)Ref: Harrison's principles of Internal Medicine; 19th edition; Page no 230e-2